Plumbism is caused by.
1. Lead poisoning
2. Mercury poisoning
3. Thallium poisoning
4. Copper poisoning

Correct answer: 1. Lead poisoning

Explanation: A i.e. Lead